A patient with hypertension, under control by medication falls under which grade
1. ASA 1
2. ASA 2
3. ASA 3
4. ASA 4

Correct answer: 2. ASA 2

Explanation: Ans. b. ASA 2 In a patient with mild systemic disease (no functional limitation), ASA grade is 2. So, ASA grade in hypertensive patient whose BP is controlled, is 2 ASA Grading Class Features P1 A normal healthy patient P2 A patient with mild systemic disease (no functional limitation)deg P3 A patient with severe systemic disease (some functional limitation)deg P4 A patient with severe systemic disease that is constant threat to life (Functionality incapacitation)deg P5 A moribund patientdeg who is not expected to survive without operation P6 A brain dead patient whose organs are being removed for donor purposes E If the procedure is an emergency, the physical status is followed by E.